True about lispro–insulin is: a) Action is faster and short in duration than regular insulin b) It is given 15 minutes prior to meal c) Source is lamb d) Action is faster and of longer duration than regular insulin
1. b
2. d
3. bc
4. ab

Correct answer: 4. ab